Which of the agents is used as medical treatment for variceal bleed?
1. Octreotide
2. Desmopressin
3. Vasopressin
4. Nitroglycerine

Correct answer: 1. Octreotide

Explanation: Somatostatin and the synthetic longer lasting analogue OCTREOTIDE are now the first choice for the pharmacological control of acutely bleeding varices. Ref: CMDT 2008 Edition, Page 559-560